Rapid removal of rubber impressions with a single firm motion results in
1. Reduced dimensional instability
2. Improved adhesion of the impression to the tray
3. Minimal permanent deformation
4. Reduced contamination by saliva

Correct answer: 3. Minimal permanent deformation